Brick-shaped virus -
1. Chicken pox
2. Small pox
3. CMV
4. EBV

Correct answer: 2. Small pox

Explanation: The virion of small pox is brick shaped REF:ANANTHANARYANAN TEXT BOOK OF MICROBIOLOGY 9EDITION PGNO.463